Child able to make tower of 5-6 cubes at which age?
1. 18 months
2. 24 months
3. 21 months
4. 30 months

Correct answer: 3. 21 months

Explanation: 15 months - Tower of 2 cubes 18 months - Tower of 4 cubes 21 months - Tower of 5-6 cubes 24 months - Tower of 6-7 cubes 3 years - Makes a BRIDGE of3 cubes 4 years - Makes a GATE of 5 cubes